Non absorbable suture material is
1. Catgut
2. Fascialata
3. Polyglycolic
4. Nylon

Correct answer: 4. Nylon